Rest seat of canine should be?
1. Flat
2. Triangular
3. V shaped
4. Seat cannot be given on canine

Correct answer: 3. V shaped

Explanation: Design for canine rest:
MD width : 2.5-3 mm
FL width : 2 mm
Depth : 1.5 mm
Apex of 'V' shape is directed incisally.